False about clavicle -
1. Ossifies in membrane
2. Horizontal bone
3. Most common site of fracture is the junction of medial 1/3 rd with lateral 2/3 rd
4. No medullary cavity

Correct answer: 3. Most common site of fracture is the junction of medial 1/3 rd with lateral 2/3 rd

Explanation: Pecularities of clavide:

 Only long bone which ossifies in mambrane.
 Subcutaneous, placed horizontally,
 No medullary cavity.
 Two primary centers of ossification—5th and 6th weeks of intra-uterine life,
 1st bone to start ossifying,
 Pierced by middle supraclavicular nerve.
 Connects appendicular to axial skeleton. Helps in weight transmission via coracoclavicular ligaments (has conoid and trapezoid parts attached to inferior surface of lateral end),
 Most frequently fractured bone, common site—junction of lateral 1/3 and medial 2/3 of shaft (medial fragment pulled upward by the stemocleiomastoid, lateral pulled down by weight of arm),
Nutrient artery—branch of the suprascapular